Imprisonment for a term extending to seven years and also fine as punishment for voluntarily causing grievous hurt : -
1. S. 321, I.P.C
2. S. 322, I.P.C
3. S. 325, I.P.C
4. S. 324, I.P.C

Correct answer: 3. S. 325, I.P.C

Explanation: S.325, I.P.C
- Punishment for voluntarily causing grievous hurt: Imprisonment for a term extending to seven years and also fine